Not true about vaccines ?
1. Two live vaccines can be given at same time at different sites
2. Two live vaccines at same site should be given at least 3 weeks apart
3. In vaccine vial monitor if the color of inner square is same as outer background, vaccine is good for use
4. Live and killed vaccines can be given together

Correct answer: 3. In vaccine vial monitor if the color of inner square is same as outer background, vaccine is good for use

Explanation: Ans. is 'c' i.e., In vaccine vial monitor if the color of inner square is same as outer background, vaccine is good for use Vaccine Vial monitor An important improvement in PPI during 1998 has been the use of vaccine vial monitor. Colour monitors or labels are put on vaccine bottles. Each label has a circle of deep blue colour. Inside it is a white square which changes colour and gradually becomes blue, if vaccine bottle is exposed to higher temprature. When the colour of the white square becomes blue like that of surrounding circle, the vaccine should be considered ineffective. Thereby, the health worker can easily ascertain that the vaccine being given is effective or not.